Spermatogenesis takes place in
1. Epididymis
2. Seminiferous tubule
3. Ductus deferens
4. Prostate

Correct answer: 2. Seminiferous tubule

Explanation: Spermatogenesis is the entire process by which spermatogonial stem cells(in seminiferous tubule) divide and differentiate into sperms. The process has three phases: spermatocytogenesis, meiosis, and spermiogenesis.Ref: Ganong's review of medical physiology; 24th edition; page no:-420